Most common site of osteogenic sarcoma is?
1. Wrist joint
2. Jaw bone
3. Knee joint
4. Shoulder joint

Correct answer: 3. Knee joint

Explanation: a Option 3 is correct, knee joint Osteosarcomas are bone producing malignant mesenchymal tumor. Although any bone can be involved, most tumors arise in the metaphyseal regions of long bones of the extremities, with almost 60%occuring about knee, 15%around hip, 10%at the shoulder, and 8% in the jaw. Robbins basic pathology 9th edition page no 776,heading =Osteosarcoma